Best treatment for Sickle cell anemia is?
1. Hydroxyurea
2. Sulphonamide
3. Iron Injection
4. Blood transfusion

Correct answer: 1. Hydroxyurea

Explanation: - Hydroxyurea increases HbF levels - used for treatment of sickle cell anemia. Management of Sickle cell anemia: Avoid infections & prompt correction of any inflammation Pneumococcal & HIB vaccination early in life Acute painful crisis - vigorous hydration & analgesia Bone marrow transplantation, gene therapy Hydroxyurea for patients with severe symptoms